Hyperplastic arteriolitis with nerotizing arteriolitis is seen in ?
1. Buerger's disease
2. Benign hypertension
3. Malignant hypertension
4. Diabetes

Correct answer: 3. Malignant hypertension

Explanation: Ans. is 'c' i.e., Malignant hypertension Hyperplastic arteriosclerosis is characteristically pathologic change seen in vessels of the patient suffering from malignant hypertension. Arterioles of all the organs in the body can affected but favoured sites are 1. Kidney 2. Small Intestine 3. Gall bladder 4. Peripancreatic fat 5. Periadrenal fat.